Which one of the following is not true about Turner's syndrome?
1. No intellectual disability
2. Short 4th metacarpal
3. Gonadal dysgenesis
4. Hermaphroditism

Correct answer: 4. Hermaphroditism

Explanation: Turner's syndrome, 45 XO, causes a female phenotype due to the absence of 'Y' chromosome. There are characteristic physical abnormalities, such as short stature, swelling, broad chest, low hairline, short 4th metacarpal, low-set ears, and webbed necks, gonadal dysfunction. Concurrent health concerns are also frequently present, including congenital heartdisease, hypothyroidism, diabetes, vision problems, hearing concerns, and many autoimmune diseases.